What is not found in head injury:
1. Confusion
2. Loss of consciousness
3. Lucid interval
4. GCS score of O

Correct answer: 4. GCS score of O

Explanation: Ans. D: GCS score of O